The tooth like structure of C2 vertebra that forms Pivot Joint with C1 vertebra is called as odontoint. The other name is?
1. Ligamentum flavum
2. Dens
3. Matrix
4. Condyl

Correct answer: 2. Dens

Explanation: The projecting tooth like structure is called as dens. Condyl is a rounded structure at the extremity of the bones and matrix is a binding structure in which binds all the organic structures.